Corpus callosotomy is useful in treatment of:
1. Epilepsy
2. Stroke
3. Alzheimer's disease
4. none of the above

Correct answer: 1. Epilepsy

Explanation: Patients with generalized seizures, atonic seizures associated with drop attacks, or absence seizures, who are found to have bilaterally coordinated pathologic cortical discharges on EEG and who fail AED therapy, may be candidates for corpus callosotomy. The corpus callosum is a large white matter tract that connects the cerebral hemispheres. Loss of consciousness requires simultaneous seizure activity in both hemispheres. Focal or partial seizures may spread the corpus callosum to the contralateral hemisphere, causing generalization and loss of consciousness. Division of the corpus callosum can interrupt this spread. Ref: Schwartz's principle of surgery 9th edition, chapter 42.